Non cicatrical alopecia is present in-
1. Scleroderma
2. Lichen planus
3. Psoriasis
4. Parva virus

Correct answer: 3. Psoriasis

Explanation: C. i.e. Psoriasis